Scarring loss of hair is seen in
1. Discoid lupus erythematosus
2. Atopic dermatitis
3. Alopecia areata
4. Systemic lupus erythematosus

Correct answer: 1. Discoid lupus erythematosus

Explanation: Conditions causing scarring alopecia Causes of non-cicatricial alopecia (non-scarring) Traumatic causes of scarring alopecia may be due to: Injury Surgery Radiation Traction (tight curls) Central centrifugal cicatricial alopecia Infections causing scarring alopecia include: Bacterial infection: boils and abscesses (Staphylococcus aureus) Fungal infection: kerion (inflammatory tinea capitis) Viral infection: shingles (herpes zoster) Inflammatory skin diseases causing scarring alopecia include: Folliculitis decalvans Dissecting cellulitis Lichen planopilaris Frontal fibrosing alopecia Alopecia mucinosa Discoid lupus erythematosus Localised scleroderma Anagen effluvium Androgenetic alopecia Dermatopathia pigmentosa reticularis Telogen effluvium Trichotillomania (Trichotillosis) Conditions resulting in reversible patchy hair thinning, poor hair quality and bald patches include: Localised alopecia areata Localised infection, such as tinea capitis Severe local skin disease, such as psoriasis, seborrhoeic dermatitis, atopic dermatitis, pityriasis rubra pilaris, cutaneous lupus erythematosus, cutaneous T-cell lymphoma Generalised skin disease (erythroderma) Systemic diseases resulting in reversible patchy hair thinning, poor hair quality and bald patches include: Iron deficiency Thyroid hormone deficiency Systemic lupus erythematosus Syphilis Severe acute or chronic illness (Ref: Harrison 20th edition pg 1234